Morbid jealousy is?
1. Delusion of love
2. Delusion of infidelity
3. Delusion of persecution
4. Delusion of grandiose

Correct answer: 2. Delusion of infidelity

Explanation: Ans. is 'b' i.e., Delusion of infidelity Morbid jealousy (Pathological jealousy)* Also referred to as delusional jealously, obsessive jealousy and Othello syndrome. This condition occurs when a person feels an unreasonable fear that a partner has been unfaithful, is presently unfaithful, or plans to be unfaithful.* Morbid jealousy can occur in alcoholism, Schizophrenia, manic phase of bipolar illness, OCD, depression, or anxiety disorder.Also knowAlcoholic paranoia falcohal induced psychotic disorder with delusions)* Alcoholic parania refers to alcohol induced psychotic disorder with delusions. Delusions in alcoholic paranoia are fixed, ie. Alcoholic paranoia is associated with fixed delusions. Patients develop delusion of either persecution or jealousy, accompanied by delusion of reference. Auditary hallucinations may occur but play a minor role.